Which of the following projection depicts the entire medial-lateral aspect of the condyle?
1. Transcranial view
2. Transorbital projection
3. Transpharyngeal projection
4. None of the above

Correct answer: 2. Transorbital projection

Explanation: The transorbital projection is taken in the open or protruded position and depicts the entire medial-lateral aspect of the condyle in the frontal plane and is very useful in detecting condylar neck fractures.